Hemophilia is associated with:
1. Normal bleeding time normal clotting time
2. Normal bleeding time prolonged clotting time
3. Prolonged bleeding time normal clotting time
4. Prolonged bleeding time prolonged clotting time

Correct answer: 2. Normal bleeding time prolonged clotting time